The probable cause of sudden death in a case superficial Injury to neck is :
1. Injury to phrenic nerve
2. Air embolism through external jugular vein
3. Bleeding from subclavian artery
4. Injury to trachea

Correct answer: 2. Air embolism through external jugular vein

Explanation: Ans. (b) Air embolism through external jugular vein* Air gets sucked inside due to negative pressure in Major venous injuries in neck